Genioglossus Muscle is attached in the posterior surface of symphysis menti in the
1. Mental spines
2. Superior genial tubercle
3. The inferior genial tubercle
4. Just above the lower border of mandible

Correct answer: 2. Superior genial tubercle